CLIP staging systems is used for classification for which of the following disease?
1. CA colon
2. Hepatoma
3. Wilson's disease
4. Ulcerative colitis

Correct answer: 2. Hepatoma

Explanation: Hepatoma Table: Clip Staging Systems for Hepatocellular Carcinoma CLIP Classification Points Variables 0 1 2 1.Tumor number Single Multiple - Hepatic replacement by tumor (%) <50 <50 >50 2.Child - pugh score A B C 3. Fetoprotein <400 <400 -